Probe used in western blot -
1. Antibody
2. M-RNA
3. DNA
4. t-RNA

Correct answer: 1. Antibody